In orbital floor fracture which of the following muscle mostly entrap in fracture segment:
1. Inferior rectus.
2. Inferior oblique.
3. Medial rectus.
4. Lateral rectus.

Correct answer: 1. Inferior rectus.

Explanation: Both inferior rectus and inferior oblique are involved but chances of entrapment is more for inferior rectus than inferior oblique.